Best treatment for fracture neck femur in a 65 year old lady is
1. POP cast
2. Gleotomy
3. Bone grafting and compression
4. Hemireplacement arthroplasty

Correct answer: 4. Hemireplacement arthroplasty

Explanation: D i.e. Hemireplacement